Vitamin B12 deficiency can give rise to all of the following except:
1. Myelopathy
2. Optic atrophy
3. Peirpheral neuropathy
4. Myopathy

Correct answer: 4. Myopathy